Fibrous pericardium in supplied by
1. Pericardiophrenic Nerve
2. Phrenic Nerve
3. T2 to T6 intercostal nerves
4. Vagus nerve

Correct answer: 2. Phrenic Nerve

Explanation: Fibrous pericardium in supplied by phrenic Nerve. Visceral pericardium does not have somatic sensation.